Mc Kay discovered Colorado stain in:
1. 1901
2. 1897
3. 1908
4. 1930

Correct answer: 1. 1901